Actinomyces viscous that initially colonises the PDL environment most likely attaches to the pellicle or saliva coated surface through?
1. Membrane protein
2. Heat sensitive protein
3. Fimbriae
4. Outer membrane protein

Correct answer: 3. Fimbriae